The probable interval between throat infection and onset of rheumatic fever is:
1. 2-4 hours
2. 2-4 days
3. 2-4 weeks
4. 2-4 months

Correct answer: 3. 2-4 weeks

Explanation: Ans. (c) 2-4 weeks(Ref: Robbins 9th/pg 559; 8th/pg 566)Acute RF typically appears 10 days to 6 weeks after a group A streptococcal infection in about 3% of patients.